T cell-dependent region is -
1. Cortical follicles of lymph node
2. Medullary cords
3. Mantle layer
4. paracortical area

Correct answer: 4. paracortical area

Explanation: Periarterial lymphoid tissues

Thymus-dependent (T cells collection)

1. Spleen
    - Periarterial lymphoid collection
    - Malphigian corpuscle in the white pulp
2. Lymph node
           - Paracortical area

Thymus-independent (B cells collection)

1. Spleen
           - Perifollicular region
           - Mantel layer
2. Lymph node
           - Cortical follicles
           - Germinal centres
           - Medullary cords